Sundar Lal 28 year old farmer is found convulsing in the farm. Heart rate is 100/min and blood pressure is 180/110mm Hg. Diarrhoea sweating and urination and Apparent. Pupils are pin point. Drug poisoning is suspected. Most probable cause is
1. Acetaminophen overdose
2. Amphetamine toxicity
3. Organo-phosphsphate poisoning
4. Atropine poisoning

Correct answer: 3. Organo-phosphsphate poisoning

Explanation: Ref-KDT 6/e p104,105 Only symptoms are of antichlorinesterase poisoning accepted raised blood pressure and heart rate. At hugh dose,ACh can stimulates NN and NM receptor. This symptoms may occur due to the nicotinic action of ACh